The first gastrectomy was performed in 1881 by ?
1. Mickuliz
2. Wolfer
3. Billroth
4. Moynihan

Correct answer: 3. Billroth

Explanation: Ans. is 'c' i.e., Billroth